Pink frothy expectoration is seen in
1. Pulmonary oedema
2. Pulmonary tuberculosis
3. Carcinoma lung
4. Hamartoma

Correct answer: 1. Pulmonary oedema

Explanation: A. i.e. (Pulmonary oedema) (1466 - H17th) (26 - 27 - CMDT 09)Pink frothy expectoration is seen in - Pulm. Oedema, Mitral stenosisPULMONARY EDEMA - rapid onset of dyspnea at rest**, tachypnea, tachycardia and severe hypoxemia, Rales and wheezing, Hypertension* Hemoptysis results from rupture ofpulmonary bronchial venous connections secondary to pulmonary venous hypertensionAcute Pulmonary edema - presents with severe dyspnea, production of pink frothy sputum** and diaphoresis and cyanosis (357 - CMDT - 09)* Blood may arise from the airways in COPD, Bronchiectasis and bronchogenic carcinoma; from the pulmonary parenchyma in pneumonia, inhalation of crack cocaine or autoimmune diseases (Such as Good pasture disease or Wegner granulomatosis)